In Fitzgerald and Hallpike differential caloric test, cold-water irrigation at 30 degrees centigrade in the left ear in a normal person will include -
1. Nystagmus to the right side
2. Nystagmus to the left side
3. Direction changing nystagmus
4. Positional nystagmus

Correct answer: 1. Nystagmus to the right side